False about facial muscles:
1. Dilates and constrict facial orifices
2. Supplied by facial nerve
3. Develops from 3rd pharyngeal arch
4. They develop from mesoderm

Correct answer: 3. Develops from 3rd pharyngeal arch

Explanation: The muscles of the face are embedded in the superficial fascia, and most arise from the bones of the skull and are inserted into the skin.The orifices of the face, namely, the orbit, nose, and mouth, are guarded by the eyelids, nostrils, and lips, respectively.It is the function of the facial muscles to serve as sphincters or dilators of these structures.A secondary function of the facial muscles is to modify the expression of the face.All the muscles of the face are developed from the second pharyngeal arch and are supplied by the facial nerve.